Oxidative capacity is high in which type of skeletal muscle fiber
1. Type I fiber
2. Type IIA fiber
3. Type IIB fiber
4. All of the above

Correct answer: 1. Type I fiber

Explanation: Oxidative capacity is high in type I fiber (slow-oxidative), moderate in type IIA (fast-oxidative-glycolytic), low in Type IIB fiber (fast-glycolytic).Reference: Ganong's review of Medical Physiology,25th ed, p 108